Which of the following presents with a "string of pearl appearance"?
1. Pemphigus vulgaris
2. Bullous pemphigoid
3. Linear IgA disease
4. Dermatitis herpetiformis

Correct answer: 3. Linear IgA disease

Explanation: The lesions in Linear IgA disease with a bimodal age distribution ie 60 yrs comprise of uicated plaques and papules, and annular, polycyclic lesions often with blistering around the edge, the string of pearls sign/cluster of jewels sign.